Poverty index does not include?
1. Long life
2. Knowledge
3. Standard of living
4. Income

Correct answer: 4. Income

Explanation: Income REF: Park 20th edition, page 17 Human poverty index: Introduced in 1997 Dimensions used are Long and healthy life Knowledge Standard of living Note: HPI for INDIA- 31.3%